26 year old female underwent hysterosalpingogram for the investigation of infertility. She has a previous history of tuberculosis. If she had developed genital tuberculosis, which genital organ will be affected commonly?
1. Cervix
2. Ovary
3. Fallopian tube
4. Vagina

Correct answer: 3. Fallopian tube

Explanation: The primary focus of genital tuberculosis is the fallopian tubes (90% of the times), which are almost always affected bilaterally but not symmetrically. The tubes are thickened and show a rough external surface with adhesions. As tuberculosis heals, the entire tube becomes encased in heavy connective scar tissue and the lumen develops a beaded, rigid pipe stem appearance. The obstruction of the tube most frequently occurs in the region of transition between the isthmus and the ampulla.